Earliest pregnancy is detected by
1. b-HCG
2. Ultrasound
3. Foetal movements
4. Foetal heart sound

Correct answer: 1. b-HCG

Explanation: A. i.e. (b hCG) (67-69- Dutta 6th)Immunological Test for Diagnosis of Pregnancy* Immunological Tests (Urine)Positive on* Agglutination inhibition test (Latex test)2 days after missed period* Direct latex agglutination test2-3 days after missed period* Card testOn the first day of the missed periodELISA**5 days before the first missed period* Radioimmunoassay (b-subunit)** 25th day of cycle* Immuno- radiometric assay (IRMA)8 days after conceptionULTRASONOGRAPHY - Intradecidual gestational sac (GS) is identified as early as 29 to 35 days of gestation* Gestational sac and yolk sac - 5 menstrual weeks* Fetal pole and cardiac activity - 6 weeks* Embryonic movements - 7 weeks* Fetal gestational age is best determined by measuring the (RL between 7 and 12 weeks (variation + 5 days)* Doppler effect of ultrasound can pick up the fetal heart rate reliably by 10th week.*** Active fetal movements can be felt at intervals by placing the hand over the uterus as early as 20th week**.It not only gives positive evidence ofpregnancy but of a live fetus* b- hCG- is marker of Dysgerminoma*** Inhibin is marker for 'Granulosa cell tumour*** The secreening test for gestational diabetes mellitus has the highest sensitivity is - 50 gram glucose challenge test**